After an initial pregnancy resulting in a spontaneous loss in the first trimester, your patient is concerned about the possibility of this recurring. An appropriate answer would be that the chance of recurrence
1. Depends on the genetic makeup of the prior abortus
2. Is no different than it was prior to miscarriage
3. Is increased to approximately 25%
4. Is increased most likely to greater than 50%

Correct answer: 2. Is no different than it was prior to miscarriage

Explanation: An initial spontaneous abortion, irrespective of the karyotype of sex of the child, does not change the risk of recurrence in the next pregnancy. The rate of abortion is commonly quoted as 15% of all known pregnancies. Recurrent pregnancy loss is seen in around 1 in 300 pregnancies. For patients with a history of RPL, the risk of subsequent pregnancy loss is estimated to be: 24% after two clinically recognized losses, 30% after three losses 40% to 50% after four losses